Tinea versicolor is seen with
1. Pityrosporum orbiculare
2. Candida infection
3. Epidermophyton
4. Trichophyton

Correct answer: 1. Pityrosporum orbiculare

Explanation: Tinea versicolor is caused by Pityrosporum orbiculare (also called Malassezia furfur).